What is the best characterizes of the sinusoids
1. Have smaller diameter than lymph capillaries
2. Are not found in skeletal muscle
3. Have a continuous endothelial lining
4. Have a continuous basement membrane

Correct answer: 2. Are not found in skeletal muscle

Explanation: sinusoids - In some tissues the 'exchange' network is made up of vessels that are somewhat different from capillaries, and are called sinusoids. Sinusoids are found typically in organs that are made up of cords or plates of cells. These include the liver, the adrenal cortex, the hypophysis cerebri, and the parathyroid glands. Sinusoids are also present in the spleen, in the bone marrow, and in the carotid body. The wall of a sinusoid consists only of endothelium supported by a thin layer of connective tissue. The wall may be incomplete at places, so that blood may come into direct contact with tissue cells. Deficiency in the wall may be in the form of fenestrations (fenestrated sinusoids) or in the form of long slits (discontinuous sinusoids, as in the spleen). At some places the wall of the sinusoid consists of phagocytic cells instead of endothelial cells. Sinusoids have a broader lumen (about 20 um) than capillaries. The lumen may be irregular, Because of this fact blood flow through them is relatively sluggish. REF: Inderbir Singh's Textbook of Human Histology, seventh edition, pg.no.,218.